All of the following are true of Reye's syndrome,except -
1. It frequently complicates viral infections
2. Prothrombin time is prolonged
3. Disease may be precipitated by salicylates
4. Deep jaundice is present

Correct answer: 4. Deep jaundice is present